An increase in heart rate and renin release is in patients of CHF can be overcome by which of the following drugs
1. Minoxidil
2. Metaprolol
3. Metalozone
4. Milrinone

Correct answer: 2. Metaprolol

Explanation: Refer kDT 7/e p 523 Treatment for CHF include... Medications Diuretic, Beta blocker, ACE inhibitor, Antihypertensive drug, Dietary supplement, Blood pressure support, Vasodilator, and Heart Medication